Which of the following pubertal events in girls is not oestrogen dependent?
1. Menses
2. Vaginal cornification
3. Pubic axillary hair growth
4. Reaching adult height

Correct answer: 3. Pubic axillary hair growth

Explanation: The presence of Estrogen in a pubertal girl stimulates the formation of Breast development, Production of cervical mucus Vaginal cornification. As estrogen levels increase, menses begins. Ovarian estrogen production late in puberty is at least in part responsible for termination of the pubertal growth spurt, thereby determining adult height. Hair growth during puberty is caused by androgens from the adrenal gland and, later, the ovary